The earliest symptom to occur in corneal ulcer is
1. Pain
2. Photophobia
3. Loss of sensation
4. Diminished vision

Correct answer: 1. Pain

Explanation: Ans. Pain